The bacterium that is most commonly used in genetic engineering is
1. Escherichia
2. Klebsiella
3. Proteus
4. Serratia

Correct answer: 1. Escherichia

Explanation: GENETIC ENGINEERINGEngineering is the application of science to social needs. Recombinant plasmids may be introduced into a bacterial host, frequently E coli, by forced transformation. Alternatively, electroporation is a procedure that introduces DNA into bacteria using an electrical gradient.Ref: Jawetz, Melnick, & Adelberg's Medical Microbiology; Twenty-Seventh Edition; Chapter 7; Microbial Genetics